Propanolol is useful in the management of which of the following side effects of a typical neuroleptic?
1. Parkinsonism
2. Acute muscle dystonia
3. Tardive dyskinesia
4. Akathisia

Correct answer: 4. Akathisia

Explanation: (Ref: KDT 6/e p431, 432) Treatment of various extrapyramidal symptoms is as follows: Symptom Drug of Choice 1. Muscular dystonia Central antichollnergic (e.g. Benzhexol) 2. Parklnsonism Central antichollnergic (e.g. Benzhexol) 3. Akathisia Propanolol 4. Malignant neurolept syndrome Dantrolene 5. Tardive dyskinesia No specific treatment (central anticholinergics are contra-indicated)